Basal layer of cell in stratified squamous epithelium is
1. Squamous
2. Transitional
3. Cuboidal- columnar
4. Pseudostratified

Correct answer: 3. Cuboidal- columnar

Explanation: C i.e. Cuboidal - Columnar